Apical transportation is also known as
1. Curing
2. Zipping
3. Ledging
4. Apical perforation

Correct answer: 2. Zipping